Common cause of retained placenta :
1. Atonic uterus
2. Constriction ring
3. Placenta accreta
4. Poor voluntary expulsive effort

Correct answer: 1. Atonic uterus

Explanation: Atonic uterus